Minimum thickness for type I zinc phosphate cement should be
1. 15 microns
2. 25 microns
3. 50 microns
4. 100 microns

Correct answer: 2. 25 microns